In a decomposed body the first sign seen is :
1. Greenish dislocation of skin over right iliac fossa
2. Greenish dislocation of skin over left iliac fossa
3. Purplish black dislocation on face
4. Purplish black dislocation over lower extremity

Correct answer: 1. Greenish dislocation of skin over right iliac fossa

Explanation: A i.e. Greenish discolouration of Right iliac fossa